The drug of choice for chemoprophylaxis in contacts of a patient of pneumonic plague is -
1. Penicillin.
2. Rifampicin
3. Erythromycin
4. Tetracycline

Correct answer: 4. Tetracycline